According to ADA specification number 12, dough
forming time should be less than ____________  min from
the start of the mixture.
1. 90 min
2. 60 min
3. 50 min
4. 40 min

Correct answer: 4. 40 min

Explanation: DOUGH-FORMING TIME
The time required for the resin mixture to reach a doughlike stage is termed the dough-forming time. American National Standards Institute/American Dental Association (ANSI/ADA) Specification No.12 (ISO 20795-1:2008: Dentistry—Base polymers—Part 1: Denture base polymers) for denture base resins requires that this consistency be attained in less than 40 min from the start of the mixing process. In clinical use, the majority of denture base products reach a doughlike consistency in less than 10 min.
Key Concept: 
Denture base resins requires that dough consistency be attained in less than 40 min from the start of the mixing process.
Reference: PHILLIPS’ SCIENCE OF DENTAL MATERIALS, 12th ed page no 478